Commonest twin presentation is :
1. Veex-brow
2. Veex-face
3. Veex-breech
4. Veex-veex

Correct answer: 4. Veex-veex

Explanation: Veex-veex